Most common determinant of energy expenditure in a resting state is:
1. Lean Body Mass
2. Adipose tissue
3. Resting Heart Rate
4. Exercise

Correct answer: 1. Lean Body Mass

Explanation: Energy expended in the resting state depends primarily on the lean body mass and the metabolic cost for processing ingested nutrients. Ref: New Developments in Obesity Research By Lawrence F. Ditmier, Page 131; Handbook of Obesity: Etiology and Pathophysiology By George A. Bray, Page 705